Helicobacter pylori infection is associated with all of the following conditions , except
1. Peptic ulcer
2. Gastric adenocarcinoma
3. B cell lymphoma
4. Burkitt's lymphoma

Correct answer: 4. Burkitt's lymphoma

Explanation: Ref Robbins 7/e p814 , Robbins 8/e p315-316,9/e p329 H. pylori gastritis typically affects the antrum and is associ- ated with increased gastric acid production. The induced mucosa-associated lymphoid tissue (MALT) can transform into lymphoma. Peptic ulcer disease can be caused by H. pylori chronic gastritis and the resultant hyperchlorhydria or NSAID use. Ulcers can develop in the stomach or duodenum and usually heal after suppression of gastric acid production and, if present, eradication of the H. pylori. H. pylori: Chronic gastritis, most commonly due to H. pylori infection, promotes the development and progres- sion of cancers that may be induced by diverse genetic alterations (Chapter 5). As is the case with many forms of chronic inflammation, H. pylori-induced chronic gastritis is associated with increased production of proinflamma- tory proteins, such as interleukin-1b (IL-1b) and tumor necrosis factor (TNF). It is therefore not surprising that polymorphisms associated with enhanced production of these cytokines confer increased risk of chronic gastritis- associated intestinal-type gastric cancer in those with co- existing H. pylori infection.